Which vitamin required for hydroxylation of proline
1. A
2. D
3. C
4. K

Correct answer: 3. C